Food poisoning case with diarrhea within 6 hours-
1. Staph aureus
2. Cl. perfringens
3. Cl. botulinum
4. V. cholerae

Correct answer: 1. Staph aureus